Condition promoting adipocere formation -
1. Dry and hot
2. Hot and humid
3. Dry and optimum
4. Cold and moist

Correct answer: 2. Hot and humid

Explanation: Warm, moist and anaerobic environment is required for adipocere formation. Dr. Narayana Reddys Synopsis of Forensic Medicine & Toxicology 27 th edition pg. 86.